Type of laser used in Laser iridotomy is:
1. CO2 laser
2. Nd Yag laser
3. Excimer laser
4. KTP laser

Correct answer: 2. Nd Yag laser

Explanation: Ref: Multiple Sources: Basak, Kan skiExplanation:LasersUses in OphthalmologyNd Yag Laser* Iridotomy (Glaucoma)* Capsulotcmy (Posterior capsular opacification)Argon Laser* Laser abiaiion - Trichiasis* Trabeculoplasty (Glaucoma)Holmium Yag Laser* Endorser DacryocystorhinostomyExcimer Laser (Excited Dimer)* Refractive surgery:(a)PfTctorefractive keratectomy (PRK) (b) Laser assisted in situ keratomileusis (LASPK)* Photo-therapeulic keratoptasty-Supedicial corneal scarsHolmium Yttrium Aluminum Garnet (HO:YAG)* Lase? thermal keratoplastyDiode laser* Trabeculoplasty (Glaucoma)* Cycloablation (Glaucoma)Helium Neon (He-Ne) Laser* Laser Inlererometry--to test the potential visual acuity in the presence d coacrty n the mediaLaser Effect on TissuesLaser effectMechanismType of laserPhotocoagulationControlled burn* Argon laser* Diode laser* Krypton laserPhoto-vaporisation * Argon laser* Diode laserPhoto-disruptionOptical breakdown to disrupt tissues by the formation of plasma* N'd-Yag laserPhoto-ahtationAblation of corneal tissue without thermal damage* Excimer laser